X-linked disease are all except:
(A) Androgen insensitivity syndrome
(B) Duchenne muscular dystrophy
(C) Hemophilia
(D) β-thalassemia
(E) Wilson's disease
1. AB
2. BC
3. CA
4. DE

Correct answer: 4. DE

Explanation: "Androgen insensitivity syndrome: This condition is inherited in an X-linked recessive pattern"-